An increase in the size of a cell in response to stress is called hypertrophy. Which of the following does not represent the example of smooth muscle hypertrophy as an adaptive response to the relevant situation?
1. Urinary bladder in urine outflow obstruction
2. Gall bladder in chronic cholecystitis
3. Triceps in body-builders
4. Uterus enlargement during pregnancy

Correct answer: 3. Triceps in body-builders

Explanation: The enlargement of the triceps is an example of skeletal muscle hypertrophy (not smooth muscle hypertrophy).